All of the following features are seen in viral pneumonia except -
1. Presence of interstitial inflammation
2. Predominance of alveolar exudates
3. Bronchiolitis
4. Multinucleate giant cells in the bronchiolar wall

Correct answer: 2. Predominance of alveolar exudates